A 30 year old female had a breast lesion of 1.2x1 cm, underwent lumpectomy with positive axillary nodes. And she was taking adjuvant radiotherapy with tamoxifen and chemotherapy, which is the line of management for her?
1. Yearly bone scans
2. Routine examination once in 3 months for an year and regular mammogram after that yearly
3. Regular checking of LFT once in 6 months
4. Follow up by tumor markers once in 6 months

Correct answer: 2. Routine examination once in 3 months for an year and regular mammogram after that yearly

Explanation: Ans. (b) Routine Examination once in 3 months for an year and regular mammogram after that yearly.(Ref Bailey and Love Page 816)* Follow up needs only examination, Clinical examination and yearly mammography* There is no routine need of other types of imaging or Tumor markers study.